Silicosis occurs with
1. Cotton
2. Silica fibres
3. Sugarcane fibres
4. Carbon particles

Correct answer: 2. Silica fibres